A retroviral positive patient presents with frequent diarrheal episodes. Stool examination reveals acid-fast oocyst of size 4-6 microns. What could be the probable diagnosis?
1. Toxoplasma gondii
2. Cryptosporidium parvum
3. Coccidioides immitis
4. Sarcocystis

Correct answer: 2. Cryptosporidium parvum

Explanation: In HIV positive patients, following organisms cause diarrhea. Cryptosporidium parvum- 4-6 micron oocyst Cyclospora - 2-12 micron oocyst Isospora belli23-36- micron oocyst